Which of these has no role in treatment of dangerous hyperkalemia?
1. Injecting calcium chloride
2. Salbutamol
3. Hemodialysis
4. IV soda bicarbonate

Correct answer: 4. IV soda bicarbonate

Explanation: Option A - injecting calcium chloride Ca- Antagonize relaxant effect of K+ on heart Option B - Salbutamol: - will cause K+ influx into cell Option C - Hemodialysis = most effective method for hyperkalemia Option D -IV Soda bicarbonate = No role Note: most effective drug for hyperkalemia = insulin drip